Which of the following is an anti-adult mosquito insecticide?
1. Paris green
2. Mineral oil
3. Fenthion
4. DDT

Correct answer: 4. DDT

Explanation: Anti adult mosquito measures: DDT BHC Malathion Pyrethrum extract: 'nerve poison'. Anti-larval measures : Paris green mineral oil Fenthion.